Marker of cndodermal sinus tumor is:
1. Alpha fetoprotein
2. HCG
3. LDH
4. CA-125

Correct answer: 1. Alpha fetoprotein

Explanation: Ref: Robbins Pathologn Rasis of Disease, 8th' edition.Explanation:Endodermal Sinus (Volk Sac) TumorThis tumor is rare but is the second most common malignant tumor of germ cell origin.Derived from differentiation of malignant germ cells along the extra-embryonic yolk sac lineageSimilar to the normal yolk sac. the tumor is rich in otrfetoprotein and al-antitrypsin.Its characteristic histologic feature is a glomerulus-like structure composed of a central blood vessel enveloped by germ cells within a space lined by germ cells (Schiller-Duval body) Conspicuous intracellular and extracellular hyaline droplets are present in all tumors, and some of these stum for a-fetoprotein by immunoperox'dase techniques.Most patients are children or young women presenting with abdominal pain and a rapidly developing pelvic mass.The tumors usually appear to involve a single ovary hut grow rapidly and aggressively.These rumors were once almost uniformly fatal within 2 years of diagnosis, but combination chemotherapy has measurably improved the outcomeTumor markers in Ovarian CancersCA-125: >35U/ml seen in Malignant and residual ovarian tumor. Also seen in disseminated Tuberculosis and endometriosis CEA: >5mg/dl - Mucinous ovarian tumor Alpha fetoprotein & alpha l antitrypsin: Endo- derntal sinus tumor AFP & HCG: Embryonal carcinoma HCG: C 'horuKrareinoma